True regarding amaurosis fugax are all except:
1. Transient and recurrent episodes of visual loss
2. Binocular lesion
3. Emblous from the carotid artery is the commonest cause
4. Ocular examination may be normal

Correct answer: 2. Binocular lesion

Explanation: Ans. B: Binocular lesion Amaurosis fugax is due to a transient decrease in blood supply to the eye or the optic nerve. It occurs commonly when a piece of plaque (embolus) in the carotid artery breaks off and travels to the retinal artery in the eye. Plaque is a hard substance that forms when fat, cholesterol and other substances build up in the walls of arteries. Pieces of plaque can travel through the bloodstream. Vision loss occurs as long as the blood supply to the artery is blocked. Atherosclerosis of the arteries in the neck is the main risk factor for this condition. Risk factors for atherosclerosis include heart disease, high cholesterol, smoking, diabetes, and high blood pressure. Clinical features Monocular transient and recurrent episodes of visual loss characterize this syndrome. Visual loss last for seconds to minutes and then return back to normal. Ophthalmoscopy may reveal an embolus visible within a retinal arteriole or ocular examination may be normal.